TOC for pediculosis corporis is –
1. 3 application of BHC
2. 4 application of BHC
3. Disinfection of all clothes and beddings
4. DDT application

Correct answer: 3. Disinfection of all clothes and beddings

Explanation: For pediculosis corporis, disinfection of clothing is most important along with local application of insectiside. On the other hand for P. capitis & P. pubis, local application of insecticide is most important.